Temperature of glass bead sterilizer is
1. 425°F-475°F for 5 secs
2. 475°F-525°F for 5 secs
3. 425°F-475°F for 10 secs
4. 475°F-525°F for 10 secs

Correct answer: 1. 425°F-475°F for 5 secs

Explanation: Glass bead (hot salt) sterilizers used to consist of either hot salt or glass beads as a medium for dry heat sterilization. 
The temperature range employed was between 425°F (218°C) and 475°F (246°C) for 5 seconds.
Ref :Grossman’s endodontics, 13th edition , pg no:198